Opening of esophagus into diaphragm is at the level of
1. T6
2. T10
3. T12
4. T8

Correct answer: 2. T10

Explanation: Opening of esophagus into diaphragm is at the level of T10. Ref - BDC 6th edition Vol 1 pg282